Flumazenil used in:(1640-CMDT-2007) (400-KDT 6th))
1. Benzodiazepine overdose
2. Lithium toxicity
3. Tricyclic anti depresants
4. Cyanide poisoning

Correct answer: 1. Benzodiazepine overdose

Explanation: (Benzodiazepine overdose) (2568-H 16th) (1389-CMDT-2009) (400-KDT 6th)FLUMAZENIL - may reverse benzodiazepine induced coma flumazenil should NOT be given if the patient has coingested atricyclic antidepressant, is a user of high dose benzo diazepines or has a seizure disorder - precipitale seizures.* Flumazenil is a GABA receptor antagonist